In which of the following displacement and mobility not seen
1. Subluxation
2. Extrusion
3. Avulsion
4. Concussion

Correct answer: 4. Concussion